Which of the following is not a type of cerebral palsy:
1. Spasticity
2. Autism
3. Ataxia
4. Athetosis

Correct answer: 2. Autism